Essential for tumor metastasis is:
1. Angiogenesis
2. Tumorogenesis
3. Apoptosis
4. Inhibition of Tyrosine kinase activity

Correct answer: 1. Angiogenesis

Explanation: Angiogenesis